Which of the following cannot be used as a surface local anaesthetic?
1. Procaine
2. Tetracaine
3. Lidocaine
4. Benzocaine

Correct answer: 1. Procaine